Iliac crest at the level of (highest point) -
1. L3
2. L4
3. L5
4. S1

Correct answer: 2. L4